All are true about GIST EXCEPT?
1. Most common mesenchymal tumor of GIT
2. C-kit (CD 117) positive
3. Originate from interstitial cells of Cajal
4. Majority seen in duodenum

Correct answer: 4. Majority seen in duodenum

Explanation: Ref: Robbins Pathology, 9th ed. pg. 775-76* Majority of gastrointestinal stromal tumors originate from stomach. The cell of origin is interstitial cell of Cajal which are present in muscularispropria.* The useful marker is c-kit (CD 117) detectable in 95% of patients.* PET scan is the imaging modality of choice* Treatment is tyrosine kinase inhibitors like imatinib mesylate.